All are features of catatonia except :
1. Automatic obedience
2. Cataplexy
3. Catalepsy
4. Negativism

Correct answer: 2. Cataplexy

Explanation: B. i.e. Cataplexy